Nerve carrying taste sensation from anterior 2/3rd of tongue is called:
1. Arnold nerve
2. Jacobson nerve
3. Criminal nerve of grassi
4. Nerve of wrisberg

Correct answer: 4. Nerve of wrisberg

Explanation: Ans. D Nerve of wrisbergRef: Netters Atlas of Human Anatomy, 5th ed. pg. 62Nerve and its DetailsArnold nerve (choice A)Auricular branch of vagus (alderman nerve)Jacobson nerve (choice B)Tympanic branch of glossopharyngeal nerveCriminal nerve of grassi (choice C)Branch of right posterior vagus that passes to left behind oesophagus ending in gastric cardia It is cut in highly selective vagotomy to avoid recurrent peptic ulcerationNerve of wrisberg (choice D)Sensory component of facial nerve which carries taste sensation from anterior 2/3 of tongueExtra mileVidian nerveNerve of pterygoid canalNerve of latarjetBranch of anterior gastric nerve and supplies the pylorus. It is left intact in highly selective vagotomy so that the function of gastric emptying remains intact.